Hematoxylin bodies are seen in:
1. SLE
2. PAN
3. Rheumatoid arthritis
4. Wegeners granulomatosus

Correct answer: 1. SLE

Explanation: . SLE